Electron beam therapy is used for which tumor ?
1. Renal carcinoma
2. Kaposi sarcoma
3. Hepatic carcinoma
4. AML

Correct answer: 2. Kaposi sarcoma

Explanation: Ans. is'b'i.e., Kaposi sarcomaElectron-beam radiation therapy is the most common modality employed for the treatment of localized KS.